Which of the following disease presents with the characteristic Pea-soup stool?
1. Cholera
2. Botulism
3. Typhoid
4. Polio

Correct answer: 3. Typhoid

Explanation: Typhoid presents with the characteristic Pea-soup stool. Cholera: Rice watery stool Food-borne botulism: Vomiting, nausea, dry mouth, constipation, abdominal pain, blurred vision with fixed dilated pupils are the initial signs. Fever, typically is absent. Pea - soup stool = lt is khaki - green, slimy stools typically occurs in a week of typhoid fever, when the patients are in toxic state and at greatest risk for the intestinal perforation and hemorrhage.